After coming head of breech will have difficulty in delivery in all of the following condition s except:
1. Hydrocephalus
2. Placenta previa
3. Incomplete dilation of cervix
4. Extension of head

Correct answer: 2. Placenta previa

Explanation: Placenta praevia Defined as a placenta located partly or completely in the lower uterine segment.The bleeding is called inevitable or unavoidable haemorrhage as dilatation of internal os inevitably results in haemorrhage (refer pgno:128 Sheila textbooks of obstetrics 2 nd edition)